During fixation of Bennett's fracture, which muscle hinders it :
1. Extensor pollicis brevis
2. Flexor pollicis brevis
3. Flexor pollicis longus
4. Abductor pollicis longus

Correct answer: 4. Abductor pollicis longus

Explanation: Following are the deforming forces in Bennett's fracture :

At the distal fragment, it is the adductor pollicis.
At the proximal fragment, it is the abductor pollicis longus.